Primary dentition period is:
1. From birth to 11 years
2. From 6 months to 11 years
3. From 6 months to 6 years
4. From 6 years to 11 years

Correct answer: 3. From 6 months to 6 years